All are true of BCG vaccine except:-
1. Dose 0.1 ml
2. Subcutaneous
3. DANISH 1331 strain
4. Live attenuated vaccine

Correct answer: 2. Subcutaneous

Explanation: BCG vaccine is live attenuated vaccine. Only give protection for CNS & disseminated TB. Danish 1331 strain is used. Given by intradermal route of administration. Dose: 0.1ml - left deltoid at Birth.( can give till one year ) Only 1dose of BCG is recommended under NIS.